A 40 year old male had undergone splenectomy 20 years ago. Peripheral blood smear examination would show the presence of -
1. Dohle bodies
2. Hypersegmented neutrophils
3. Spherocytes
4. Howell-Jolly bodies

Correct answer: 4. Howell-Jolly bodies

Explanation: Ans. is 'd' i.e., Howell-Jolly bodies Chronic Manifestations of splenectomv include : Marked variation in size and shape of erythrocytes - anisocytosis / poikilocytes Howell - Jolly bodies : nuclear remnants Heinz bodies : denatured haemoglobing Basophillic stippling Occasional nucleated erythrocyte in peripheral blood